IUCD acts as contraceptive through all of the following mechanisms, except :
1. Impairs implantation of blastocyst
2. Increases tubal motility
3. Inhibits ovulation
4. Releases prostaglandins

Correct answer: 3. Inhibits ovulation

Explanation: Inhibits ovulation